Night blindness may be caused by all except
1. Vitamin A deficiency
2. Retinitis pigmentosa
3. Syphilis
4. Lattice degeneration

Correct answer: 4. Lattice degeneration

Explanation: Ans. Lattice degeneration